M/c cause of death in a patient with uterine inversion:
1. Neurogenic shock
2. Haemorrhagic shock
3. Pulmonary embolism
4. Amniotic fluid embolism

Correct answer: 2. Haemorrhagic shock

Explanation: Ans. is b, i.e. Hemorrhagic shockShock in uterine inversion is initially neurogenic (vasovagal), with inversion uterus becomes atonic and bleeding occurs which leads to hemorrhagic shock.M/c cause of death in uterine inversion - haemorrhagic shock.